Drug of choice for treatment of akathisia is:-
1. Lithium
2. Fluoxetine
3. Propranolol
4. Haloperidol

Correct answer: 3. Propranolol

Explanation: Antipsychotic drugs S/E - PS Dystonic - Benzhexol Akathesia -Propanolol Drug induced parkinsonism - Benzhexol Tardive dyskinesia - Valbenazine Propanolol Beta blockers improve cardiac output in HOCM patients During exercise by reducing left ventricular outflow obstruction Lithiums/e Thirst , polyuria experienced by most of patients Fine tremors Nausea, vomiting, mild diarrhea occurs initially Fluoxetine : Approved for use in children 7 yrs or older for depression and OCD Only antidepressants effective in juveniledepression- fluoxetine, sertraline